Hyperextension of hip producing pain in acute appendicitis is due to which muscle?
1. Gluteus maximus
2. Obdurator Extemus
3. Psoas Major
4. Quadratus lumborum

Correct answer: 3. Psoas Major

Explanation: Ans. is 'c' i.e., Psoas Major - o In retrocecal appendicitis, inflammed appendix is in contact with psoas muscle causing flexion of the hip joint. Hyperextension of the hip joint may induce abdominal pain. This is known as 'iliopsoas sign' and is typical of retrocecal appendicitis.Other signs seen in appendicitis:o Obturator sign: pain on internal rotation of the hip (suggesting a pelvic appendix)o Dunphy's sign: Any movement, including coughing (Dunphy's sign), may cause increased paino Rovsing's sign: pain in the right lower quadrant during palpation of the left lower quadrant.